A 40 year old male patient complains of decayed teeth. Class II cavity preparation was done under rubber dam isolation. Who introduced this method of isolation in dentistry?
1. Sanford Barnum
2. S. S. White
3. Delous Palmer
4. Jones and Reid

Correct answer: 1. Sanford Barnum

Explanation: In 1864, S.C. Barnum, a New York City dentist, introduced the rubber dam into dentistry.​
Reference: Sturdevant’s Art and Science of Operative Dentistry, Mosby, 4th Edition, Page No: 445